Metronidazole is used for all except -
1. Amoebiasis
2. Giardiasis
3. Trichomonas vaginitis
4. Malaria

Correct answer: 4. Malaria

Explanation: Ans. is 'd' i.e., Malaria Metronidazoleo It has broad spectrum antiprotozoal activity against trichomonas, E. histolytica and G lamblia.o It is also active against many anaerobic bacteria,o It does not affect aerobic bacteria.o It acts by inhibiting pyruvate : Ferredoxin oxidoreductase (PFOR) enzyme pathway of pyruvate oxidation in anaerobes.o In protozoa the mechanism of action is different, i.e. damage to DNA.o Metronidazole is a nitroimdazole, nitro group is activated by reduction to form reactive cytotoxic product that damages the DNA.o It inhibit cell mediated immunity to induce mutagenesis and causes radiosensitization,o Adverse effects - see above question,o Uses1. Amoebiasis5. Pseudomembranous enterocolitis.2. Giardiasis6. Ulcerative gingivitis, trench mouth.3. Trichomonas vaginitis7. H. pylori gastritis, peptic ulcer.4. Anaerobic bacterial infection